All of the following electrocardiographic findings may represent manifestations of digitalis intoxication, EXCEPT -
1. Bigeminy
2. Junctional tachycardia
3. Atrial flutter
4. Atrial tachycardia with variable block

Correct answer: 3. Atrial flutter